Which of the following is the causative organism for Chancroid?
1. Haemophilus ducreyi
2. Haemophilus influenza
3. Treponema pallidum
4. Neisseria Gonorrhea

Correct answer: 1. Haemophilus ducreyi

Explanation: Haemophilus ducreyi, a gram-negative, facultative anaerobic coccobacillus is the causative agent of Chancroid. Painful, soft ulcers with ragged undermined margins develop 1-2 weeks after inoculation (usually seen in prepuce and frenulum in men and vulva, cervix, and perianal area in women). Must Know: Chancroid facilitates the transmission of HIV. Azithromycin and Ceftriaxone are recommended as single-dose treatment. It is a sexually transmitted disease, but nonsexual transmission has been reported recently. Ref: Lautenschlager S. (2012). Chapter 202. Chancroid. In L.A. Goldsmith, S.I. Katz, B.A. Gilchrest, A.S. Paller, D.J. Leffell, N.A. Dallas (Eds), Fitzpatrick's Dermatology in General Medicine, 8e.